Flexion, adduction and medial rotation of arm is done by which muscle
1. Serratus Anterior
2. Pectoralis major
3. Pectoralis minor
4. Subclavius

Correct answer: 2. Pectoralis major

Explanation: Muscle Action Pectoralis major Adducts and medial rotation of arm Pectoralis minor Stabilizes the scapula Subclavius anchors and depresses the scapula Serratus Anterior protracts the scapula laterally rotates the scapula overhead abduction